Al are exploring instruments except:
1. DG-16
2. JK-17
3. CK-17
4. JW-17

Correct answer: 2. JK-17